BSGT stands for -
1. Bagolini striated glasses test
2. Bagolini smooth glasses test
3. Bagolini shiny glasses test
4. Bagolini second glue test

Correct answer: 1. Bagolini striated glasses test

Explanation: Bagolini striated glasses test, or BSGT, is a subjective clinical test to detect the presence or extent of binocular functions and is generally performed by an Optometrist(O.D) or ohoptist or ophthalmologist (medical/surgical eye doctor, M.D. or D.O.). It is mainly used in strabismus clinics. Ref khurana 6/e p 450